A person is considered as a case of tuberculosis if -
1. Has cough
2. Sputum positive
3. X-ray signs
4. Mantoux positive

Correct answer: 2. Sputum positive

Explanation: Ans. is `b' i.e., Sputum positive Case of tubuculosis is defined as, either any of the two : - At least one sputum specimen positive for AFB or culture positive for M. Tuberculosis or RNTCP endorsed rapid diagnostic test positive for TB. Diagnosed clinically as a case of TB without microbiologic confirmation, and initiated on ATT. Some definitions of tuberculosis cases and treatment Case of tuberculosis : A patient in whom tuberculosis has been confirmed by bacteriology or diagnosed by a clinician. Sputum smear examination - Laboratory technique to screen sputum for tuberculosis, where acid fast bacilli (AFB) are stained red by the Ziehl Neelsen method, and then identified and counted using microscopy. Smear positive tuberculosis - At least one initial sputum smears positive for AFB or one AFB positive. Smear negative tuberculosis - At least two negative smears, but tuberculosis suggestive symptoms and X-ray abnormalities or positive culture. Adherence - Person takes appropriate drug regimen for required time (also known as compliance). New case - A patient with sputum positive pulmonary tuberculosis who has never had treatment for tuberculosis or has taken anti - tuberculosis drugs for less than 4 weeks. Relapse - A patient who returns smear positive having previously been treated for tuberculosis and declared cured after the completion of his treatment. Failure case - A patient who was initially smear positive, who began treatment and who remained or became smear positive again at five months or later during the course of treatment. Return after default - A patient who returns sputum smear positive, after having left treatment for at least two months. Transfer in - A patient recorded in another administrative area register and transferred into another area to continue treatment (treatment results should be reported to the district where the patient was initially registered). Transfer out - A patient who has been transferred to another area register and treatment results are not known. Cured - Initially smear positive patient who completed treatment and had negative smear result on at least two occasions (one at treatment completion). Treatment completed - Initially smear negative patient who received full course of treatment, or smear positive who completed treatment, with negative smear at the end of initial phase, but no or only one negative smear during continuation and none at treatment end. Cohort - A group of patients in whom TB has been diagnosed, and who were registered for treatment during a specified time period (e.g. the cohort of new smear-positive cases registered in the calender year 2003). This group forms the denominator for calculating treatment outcomes. The sum of the treatment outcomes, plus any case for which no outcome is recorded (eg. still on treatment) should equal the number of cases registered. Case detection rate : - The case detection rate is calculated as the number of notification of new and relapse cases in a year divided by the estimated incidence of such cases in the same year